At 15 weeks of gestation, increased alpha fetoprotein in amniotic fluid is seen in :
1. Intrauterine death
2. Down syndrome
3. Turner syndrome
4. Normal pregnancy

Correct answer: 1. Intrauterine death

Explanation: Intrauterine death